Myentric plexus and meissner plexus respectively controls
1. Motility, Absorption
2. Motility, Secretion
3. Absorption, Secretion
4. Secretion, Absorption

Correct answer: 2. Motility, Secretion

Explanation: Myentric / auerbachs plexus control motility.
Meissner / submucosal plexues control secretion.